Management plan for osteogenic sarcoma of the lower end of femur must include -
1. Radiotherapy, amputation, chemotherapy
2. Surgery alone
3. Chemotherapy + Limb Salvage Surgery + Chemotherapy
4. Chemotherapy + Radiotherapy

Correct answer: 3. Chemotherapy + Limb Salvage Surgery + Chemotherapy

Explanation: The usual protocol is : -


First give neoadjuvant chemotherapy (Pre-operative chemotherapy).
Neo-adjuvant chemotherapy is followed by surgery : - This may be limb salvage surgery (most of the time) or amputation depending on the situation.
Surgery is followed by postoperative chemotherapy.